Esophagus is present in which mediastinum ?
1. Anterior
2. Posterior
3. Middle
4. None

Correct answer: 2. Posterior

Explanation: Ans. is 'b' i.e., Posterior